A person breaks someone's mandible in alleged fight. Police can -
1. Arrest with warrant
2. Arrest without warrant
3. Declares him hostile and out him in jail
4. Put him in mental asylum

Correct answer: 2. Arrest without warrant

Explanation: The synopsis of forensic medicine & toxicology;Dr k.s narayan reddy; 28th edition; pg.no. 155; Breaking of mandible comes under grievous hurt,so the police can arrest the the person who caused the hurt without a warrant.